Drawback of ozone as water disinfectant is
1. No virucidal effect
2. Long time period for action
3. Teratogenicity
4. No residual action

Correct answer: 4. No residual action